Which of the following statements about Xanthogranulomatous pyelonephritis is not true -
1. Foam cells are seen
2. Associated with tuberculosis
3. Yellow nodules are seen
4. Giant cells may be seen

Correct answer: 2. Associated with tuberculosis